Health index characteristics are all except ?
1. Validity
2. Reliability
3. Affordability
4. Feasibility

Correct answer: 3. Affordability

Explanation: Ans. is 'c' i.e., Affordability There has been some confusion over terminology: health indicator as compared to health index (plural: indices or indexes). It has been suggested that in relation to health trends, the term indicator is to be preferred to index, whereas health index is generally considered to be an amalgamation of health indicators (56). Characteristics of indicators Indicators have been given scientific respectability: for example ideal indicators. a) Should be valid, i.e., they should actually measure what they are supposed to measure; b) Should be reliable and objective, i.e., the answers should be the same if measured by different people in similar circumstances. c) Should be sensitive, i.e., they should be sensitive to changes in the situation concerned. d) Should be specific, i.e., they should reflect changes only in the situation concerned, e) Should be feasible, i.e., they should have the ability to obtain data needed, and; f) Should be relevant, i.e., they should contribute to the understanding of the phenomenon of interest.